Induction agent for Day care Surgery is :
1. Ketamine
2. Diazepam
3. Thiopentone
4. Propofol

Correct answer: 4. Propofol

Explanation: Ans. is 'd' i.e. . Propofol "Propofol is used as in inducing agent for day care surgery because residual impairment is less marked and incidence of post-operative nausea and vomiting is Cow." - KDT, 4/e, p 352Also remember Day care anaesthesia - isoflurane* Day care analgesic - Afentanyl*.